Shadow test is used in ?
1. Keratometry
2. Ophthalmoscopy
3. Gonioscopy
4. Retinoscopy

Correct answer: 4. Retinoscopy

Explanation: Ans. is 'd' i.e., Retinoscopy Retinoscopy, also called skiascopy or shadow test, is an objective method of finding out the error of refraction by the method of neutralization.